Site of bleeding in Gastro-esophageal varices:
1. Short Gastric veins
2. Right Gastric veins
3. Left Gastric veins
4. All

Correct answer: 4. All

Explanation: Ans is A (Short Gastric veins), B (Right Gastric veins), & C (Left Gastric veins) "Varices in the distal esophagus and proximal stomach are a component of the collateral network that diverts high-pressure portal venous flow through the left and right gastric veins and the short gastric veins to the azygous system."- Sabiston 18/e p1529